Case - control study is a type of -
1. Descriptive epidemiological study
2. Analytical study
3. Longitudinal study
4. Experimental epidemiological study

Correct answer: 2. Analytical study

Explanation: . case control studies are generally called "retrospective studies"are used to test casual hypothesis.they are basically comparison studies.cases and controls must be compared with respect to known "confounding factors"other kind of analytical studies include cohort study. ref;park's textbook of preventive and social medicine,22 nd edition,pg no 66